A 10-year-old boy is presented to ophthalmology OPD for white ring around the black of the eye. His father died of coronary heart disease. O/E Corneal arcus is found, xanthoma on Achilles tendon. His fasting blood cholesterol >300 mg/dl, Triglycerides within normal limit. What is the diagnosis?
1. Type I Hyperlipoproteinemia
2. Type II A Hyperlipoproteinemia
3. Type II B Hyperlipoproteinemia
4. Type III Hyperlipoproteinemia

Correct answer: 2. Type II A Hyperlipoproteinemia

Explanation: Ans. B. Type IIA HyperlipoproteinemiaIdentifying features* Corneal arcus* History of coronary artery disease* Tendinous xanthoma* Very high cholesterol level* Triglycerides within normal limit.